Most common solid tumour of childhood among the following is:
1. Ganglioneuroma
2. Neuroblastoma
3. Retinoblastoma
4. Wilm tumour

Correct answer: 2. Neuroblastoma

Explanation: Ans; b (Neuroblastoma) Ref: Nelson, 17th ed, p. 1694; OP Ghai, 6th ed, p. 573* Neuroblastoma is the most common intraabdominal solid tumour in childhood accounting for 7-8% of all paediatric cancers.* Most common infection associated with paediatric HIV infection is Non Hodgkin lymphoma.* Most common posterior fossa tumor in children is astrocytoma.Frequencies of malignancies in paediatric populationLeukaemia > brain tumour > lymphoma > neuroblastoma > Wilm tumour* Leukaemias are the most common malignant neoplasms in childhood accounting for 41 % of all malignancies that occur in children less than 15 years of age.* ALL accounts for 77% of cases of childhood leukaemia, AML for about 11 %, CML for 2-3% andJCMLfor 1-2%.* Acute leukaemia occurs about 14 times more frequently in children with downs syndrome than in general population.* Down children with ALL have the same prognosis as that of non Down children whereas Down children with AML have much better outcomes than the non Down population.* Neonates with Down syndrome develop transient leukemia or myeloproliferative syndrome.* Down children during the first 3 years of life, AML is more likely than ALL.* Congenital leukaemia (Leukaemia occurring in the first 4 weeks of life) is mostly AML.* In children, lymphoblastic lymphoma variant is the most common type of NHL.* In Indian chi ldren, mixed cellularity type of Hodgkin disease is the most common accouting for 60% of all cases of HD.* Brain tumours are the second most frequent tumors in children.* Lymphomas are the third most common tumours in children.* Astrocytomas are the most common brain tumours in children and juvenile pilocytic astrocytoma is the most common astrocytoma in children.* Neuroblastoma is the most common intraabdominal solid tumours in children.* Rhabdomyosarcoma is the most common soft tissue sarcoma in children under 15 years of age.* Most common primary site for rhabdomyosarcoma in children is head and neck region.* The most common malignant bone tumour in children is osteosarcoma.* The second most common malignant bone tumour in children is Ewings sarcoma.* Retinoblastoma is the most common primary ocular tumor of childhood.* Neurogenic tumours are more prevalent in posterior mediastinum and common in childhood. They are neuroblastoma, ganglioneuroma and ganglioneuroblastoma.Neuroblastoma good prognosisNeuroblastoma bad prognosisMediastinal lesionStroma rich lesionOpsomyoclonus<1 yearStage I,II,IVsTrk-A expressionVIPIncreased LDH,NSE,Se FerritinLoss of heterozygosityDiploidyNmyc expression